Which is gender specific adverse effect of valproate
1. PCOD
2. Weight gain
3. Alopecia
4. Hepatotoxicity

Correct answer: 1. PCOD

Explanation: Valproate Adverse effects a) Hepatotoxicity Due to a metabolite of valproate. This metabolite is produced more if given with carbamazepine like drugs. So they produce more hepatotoxicity b) Pancreatitis c) Polycystic ovarian disease